Which enzyme is associated with the mineralization
1. Acid phosphatase
2. Alkaline phosphatase
3. Adenosine triphosphate
4. Amino peptidase

Correct answer: 2. Alkaline phosphatase